Tumors which produce expansile bony metastases
1. Renal cell carcinoma
2. Thyroid carcinoma
3. Melanoma
4. All the above

Correct answer: 4. All the above